Posterior cord supplies
1. Teres minor
2. Pectoralis minor
3. Coracobrachialis
4. Long head of biceps

Correct answer: 1. Teres minor

Explanation: The axillary nerve from the posterior cord supplies teres minor and deltoid muscle. Coracobrachialis is supplied by a musculocutaneous nerve from the lateral cord. Pectoralis minor is supplied by medial pectoral nerve arising from the medial cord and lateral pectoral nerves arising from lateral cord. The long head of biceps brachii is supplied by a musculocutaneous nerve from the lateral cord. BD Chaurasia 7th edition Page no: 57